Which is not an opportunisitic infection in AIDS?
1. Crytococcus
2. Aspergillosis
3. Dermatophyte
4. P. Jiroveci

Correct answer: 3. Dermatophyte

Explanation: Ans. (c) Dermatophyte